The 9 month old child of o diabetic mother presents with tachypnea and hepatomegaly, Echo cardiography of (he heart showed normal cardiac morphology with asymmetric septal hypertrophy, Which of the following you will give to treat this child -
1. Digoxin
2. fruwmlde
3. Propanolol
4. Isoptin

Correct answer: 3. Propanolol

Explanation: Ref: Harrison's 19th E pg 1568 This is most probably a case of HOCM. In HOCM, there is asymmetrical septal hypertrophy. During contraction, the hypertrophied septum comes in proximity with the anterior leaflet of the mitral Valve, which leads to obstruction. So drugs that decrease the contractility of heart can be used for hocm. The drug of choice for HOCM is Beta-blockers.